The maxillary tooth that is difficult to anaesthetize by infiltration is:
1. Canine
2. 3rd molar
3. Incisors
4. 1st molar

Correct answer: 4. 1st molar

Explanation: The maxillary tooth that is difficult to anaesthetize by infiltration is First molar due to the presence of thick zygomatic buttress in this region.